Use of wadding in a smooth bore gun rifle 'produces all except -
1. Causes fatal injuries
2. Helps in lubrication
3. Optimum pressure
4. Sealing the air

Correct answer: 1. Causes fatal injuries

Explanation: Functions of wad are:-

(i) It separates the projectiles from propellant.
(ii) It seals the bore effectively.
(iii) It prevents expanding gas from escaping, and
(iv) It allows optimum pressure to develop.

The felt wad is impregnated with grease and this lubricates the bore.